Heavy smokers need the following intervention to aid smoking cessation Except
1. Nicotine replacement
2. Pharmacological antiaddiction medications
3. Cessation programmes
4. Radiofrequency ablation

Correct answer: 4. Radiofrequency ablation

Explanation: The Community Intervention Trial for Smoking Cessation (COMMIT) was a 4-year program showing that Light smokers (<25 cigarettes per day) were more likely to benefit from simple cessation messages and cessation programs than those who did not receive an intervention. Quit rates were 30.6% in the intervention group and 27.5% in the control group. The COMMIT interventions were unsuccessful in heavy smokers (>25 cigarettes per day). Heavy smokers may need an intensive broad-based cessation program that includes counselling, behavioural strategies and pharmacologic adjuncts such as nicotine replacement (gum, patches sprays lozenges and inhalers), bupropion and/or vareniclineReference: Harrison; 19th edition